Amastigote form is seen in?
1. Leishmania
2. Plasmodium
3. Babesia
4. Ascaris

Correct answer: 1. Leishmania

Explanation: Ans. is 'a' i.e., Leishmania Leshmania are hemoflagellates which occur in two forms :? Amastigote (aflagellar stage) : It occurs in RE system (reticuloendothelial system) of vertebrates (Man, dog). Promastigote (flagellar stage) : It is infective form and occurs in gut of sandfly or in artificial cultures. Promastigote form is transmitted by sandfly (vector is female sand fly).